Which of the following do not cause hardness of water ?
1. Calcium carbonate
2. Calcium sulphate
3. Calcium bicarbonate
4. Magnesium bicarbonate

Correct answer: 1. Calcium carbonate

Explanation: * Temporary hardness is a type of water hardness caused by the presence of dissolved bicarbonate minerals (calcium bicarbonate and magnesium bicarbonate). * Permanent hardness is caused by dissolved calcium sulfate (which is not removed by boiling ref : park 21st ed